Rhinolith can cause -
1. Nasal obstruction
2. Epistaxis
3. Epiphora
4. All the above

Correct answer: 4. All the above

Explanation: Ans. is 'd' i.e., All the above Rhinolitho A rhinolith is a calculus present in the nasal cavity.o The word is derived from the roots rhino- and -lith, literally meaning "'nose stone". It is an uncommon medical phenomenon, not to be confused with dried nasal mucus,o A rhinolith usually forms around the nucleus of a small exogenous foreign body, blood clot or secretion by slow deposition of calcium and magnesium salts,o Over a period of time, they grow into large irregular masses that fill the nasal cavity,o They may cause pressure necrosis of the nasal septum or lateral wall of nose,o Rhinoliths can cause nasal obstruction, epistaxis, headache, sinusitis and epiphora.